Parathyroid gland was implanted into forearm muscle. What is the type of transplantation?
1. Orthotopic
2. Heterotopic
3. Auxiliary
4. None

Correct answer: 2. Heterotopic

Explanation: The transfer of living organs or tissue from one part of the body to another or from one individual to another is known as heterotopic transplantation. It is also known as piggy back transplant.